Red leg disease is caused by -
1. Pseudomonas
2. Moudly sugar cane fibre
3. Coniosporium
4. Aeromonas

Correct answer: 4. Aeromonas

Explanation: Red Leg Disease is a severe, acute, bacterial infection of amphibians.
It is termed «Red Leg Disease» because it causes hemorrhages of the leg (often the inner thigh) as a result of septicemia